Most common surgical cause of obstructive jaundice-
1. Periampullary carcinoma
2. Carcinoma gall bladder
3. Carcinoma head of pancreas
4. CBD stones

Correct answer: 4. CBD stones

Explanation: Ans. is 'd' i.e., CBD stones o Most common surgical cause of obstructive jaundice is choledocholithiasiso Stone disease is the most common cause of obstructive jaundice. Gallstones may pass through the CBD and cause obstruction and symptoms of biliary colic and cholecystitis. Larger stones can become lodged in the CBD and cause complete obstruction, with increased intraductal pressure throughout the biliary tree. Mirizzi syndrome is the presence of a stone impacted in the cystic duct or the gallbladder neck, causing inflammation and external compression of the common hepatic duct and thus biliary obstruction.